All of the following are Intermediate filament except?
1. Lamin
2. Cadherin
3. Vimentin
4. Desmin

Correct answer: 2. Cadherin

Explanation: Ans. (b) Cadherin(Ref: Robbins 9th/pg 21-24)Intermediate filaments are 10-nm diameter fibrils which provide tensile strength to a cell.Cadherins are cell-cell desmosomal junctions are formed by homotypic association of transmembrane glycoproteins.